True about centchroman are all, EXCEPT :
1. It is synthetic non -- steroidal contraceptive
2. The only side effect is oligomenorrhoea
3. Safe in liver disease
4. Can be used as post -- coital pill

Correct answer: 3. Safe in liver disease

Explanation: Safe in liver disease